Perception of ordinarily non noxious stimuli as pain, is better known as
1. Allodynia
2. Hyperalgesia
3. Hyperesthesia
4. Radiculopathy

Correct answer: 1. Allodynia